Activated protein C inhibit clotting mechanism by inactivating which of the following clotting factors:
1. Factor IIIa and Factor VIIIa
2. Factor VIIIa and Factor IXa
3. Factor Va and Factor VIIIa
4. Factor Va and Factor VIIa

Correct answer: 3. Factor Va and Factor VIIIa

Explanation: Protein-C is a vitamin K-dependent protease that requires a cofactor (Protein S). Activated Protein C/protein S forms a complex which is a potent inhibitor of coagulation factors Va and Factor VIIIa. Protein C acts as a Tissue factor pathway inhibitor (TFPI)